Granulomatous uveitis with involvement of parotid gland is seen in:
1. Tuberculosis
2. Syphilis
3. Mumps
4. Sarcoidosis

Correct answer: 4. Sarcoidosis

Explanation: Ans. Sarcoidosis